Afferent fibres for stretch reflex includes
1. Ia and Ib  fibres
2. Ia  and II fibres
3. Ib  and II fibres
4. Golgi tendon organ

Correct answer: 2. Ia  and II fibres